What is false regarding DEC -
1. DEC is excreted in urine
2. DEC is microfilaristatic
3. DEC is metabolised in liver
4. Most important action of DEC appears to alteration

Correct answer: 2. DEC is microfilaristatic

Explanation: Ans. is 'b' i.e., DEC is microfilaristatic o DEC is the first drug used for filariasis; absorbed after oral ingestion; metaboized in liver and excreted in urine. It is microfilaricidal. o Most important action of DEC appears to alteration of organelle membrane of Mf promoting cell death. It is used in filariasis and tropical pulmonary eosinophilia.